Type I Tyrosinemia is caused by:
1. Tyrosine transaminase
2. Fumarylacetoacetate hydrolase
3. 4 Hydroxy phenyl pyruvate hydroxylase
4. Maleyl acetoacetate isomerase

Correct answer: 2. Fumarylacetoacetate hydrolase

Explanation: Ans. B. Fumarylaceto Acetate HydrolaseAmino acidurias and enzyme defectClassic Phenyl KetonuriaPhenylalanine HydroxylaseAlkaptonuriaHomogentisate OxidaseTyrosinemia Type I (Most common Tyrosinemia)Fumaryl Aceto Acetate HydrolaseTyrosinemia Type IITyrosine TransaminaseTyrosinemia Type IIIPara Hydroxy Phenyl Pyruvate hydroxylase/Para hydroxyl Phenyl Pyruvate DioxygenaseHawkinsinuriaPara Hydroxy Phenyl Pyruvate hydroxylase/Para hydroxyl Phenyl Pyruvate Dioxygenase is mutant, so that it catalyse only partial reaction.Segawa SyndromeGTP CyclohydrolaseAlbinismTyrosinase